A 23-year old male presents with progressive proptosis of his right eye. The proptosis increases on bending forward and is compressible. No thrill or bruit was present. Orbital ultrasound revealed an echogenic mass with foci of echo shadows. The most likely diagnosis is
1. Orbital AV fistula
2. Orbital encephalocoecle
3. Orbital varix
4. Neurofibromatosi

Correct answer: 3. Orbital varix

Explanation: Ans. c. Orbital varix